A patient who is on long term steroid developed certain ocular symptoms since few weeks. Which of the following condition is caused by chronic steroid use?
1. Open angle glaucoma
2. Conjunctival papillomatosis
3. Uveitis
4. None of the above

Correct answer: 1. Open angle glaucoma

Explanation: Topical, periocular, and intraocular corticosteroids may produce a type of glaucoma that simulates primary open-angle glaucoma, particularly in individuals with a family history of the disease, and will exaggerate the intraocular pressure elevation in those with established primary open-angle glaucoma. Systemic steroid therapy is less likely to cause a rise in intraocular pressure. Ref: Salmon J.F. (2011). Chapter 11. Glaucoma. In P. Riordan-Eva, E.T. Cunningham, Jr. (Eds), Vaughan & Asbury's General Ophthalmology, 18e.